Hour glass deformity of the stomach is seen in :
1. Gastric ulcer
2. Gastric carcinoma
3. Gastric lymphoma
4. Lipoma

Correct answer: 1. Gastric ulcer

Explanation: Gastric stenosis (hourglass stomach) : Hour-Glass deformity can also occur with gastric ulcer disease. Occasionally a gastric ulcer is associated with such scarring that a stricture develops in the body of the stomach (hourglass deformity). This causes a clinical picture similar to pyloric obstruction.The definite treatment being gastrectomy. Ref : Dempsey D.T. (2010). Chapter 26. Stomach. In T.R. Billiar, D.L. Dunn (Eds),Schwartz's Principles of Surgery, 9e.